Methionine is synthesised in human body from -
1. Cysteine
2. Homocysteine
3. Cystine
4. Tryptophan

Correct answer: 2. Homocysteine

Explanation: Ans. is 'b' i.e., Homocysteine* Homocysteine in the presence of methionine synthase and methyl B12, gets converted to methionine.